Subdural haematoma most commonly results from:
1. Rupture of intracranial aneurysm
2. Rupture of cerebral AVM
3. Injury to cortical bridging veins
4. Hemophilia

Correct answer: 3. Injury to cortical bridging veins

Explanation: Answer is C (Injury to cortical bridging veins): Subdural hemorrhage is caused by the rupture of bridging veins that connect the brain and the dural sinuses i.e. cortical bridging veins. Memo: Most common cause of extradural hemorrhage is Rupture of middle meningeal artery.